The best indicator for a potential explosiveness of plague outbreak is-
1. Total flea index
2. Cheopis index
3. Specific percentage of fleas
4. Burrow index

Correct answer: 2. Cheopis index

Explanation: Question repeated